Congenital Infection affecting the fetus with minimal teratogenic risk is:
1. HIV
2. Rubella
3. Varicella
4. CMV

Correct answer: 1. HIV

Explanation: * HIV is not teratogenic * CMV is the commonest cause of fetal & perinatal infection * No teratogenic effects - HIV, measles, influenza * Rubella is most teratogenic agent known